Which of the following substance can be used as an antidote to fibrinolytics
1. Epsilon amino caproic acid
2. Protamine
3. Alteplase
4. Dabigatran

Correct answer: 1. Epsilon amino caproic acid

Explanation: Refer KDT 7th/628 Epsilon amino caproic acid (EACA) and tranexamic acid are used as antidote to fibrinolytic drugs like streptokinase